Chandler's index is associated with:
1. Hook worm
2. Pin worm
3. Roundworm
4. Guinea worm

Correct answer: 1. Hook worm

Explanation: Ans. (a) HookwormRef : K. Park 23rd ed. / 243-44* CHANDLER'S INDEX is also known as Endemic index.* It is defined as average number of hookworm eggs per gram of stool for the entire community.* >300 eggs per gram of stool denotes important public health problem.Interpretation of chandler's index:Average No. of eggs/gm of stoolInterpretation* <200No significance* 200-250Potential danger* 250-300Minor public health problem* >300Major public health problem